Regarding propofol, which one of the following is FALSE:
1. It is used as an induction agent
2. It possess anti-pruritic action
3. It is painful on injecting intravenously
4. It has strong tendency to cause vomiting

Correct answer: 4. It has strong tendency to cause vomiting

Explanation: Ans. (d) It has strong tendency to cause vomitingRef: KDT 6th ed. / 375Salient Features of Propofol* It is a milky white powder that is preservative free. Therefore, it must be used within 6 hours.* It is an oil based preparation, therefore injection is painful.* Onset of action: 15 seconds* Duration of action: 5-10 min. (due to redistribution)* Due to rapid action, post anesthetic nausea and vomiting is uncommon with propofol* It possesses very strong antiemetic and antipruritic action.* It decreases blood pressure and impairs baroreceptor reflexes.* It produces more severe and prolonged respiratory depression than thiopentone.* It has no muscle relaxant property.* It has cerebroprotective activity but does not possess anticonvulsant activity. Rather, myoclonic jerking and muscle twitching can be seen with the use of propofol.* It is the intravenous anaesthetic of choice for day care surgery.* It is also the intravenous anaesthetic of choice for sedation in ICU.* Propofol is the intravenous anaesthetic of choice in the patients with malignant hyperthermia.* Along with opioids (alfentanil or fentanyl) propofol is the agent of choice for total intravenous anaesthesia (TIVA).